Acute suppurative otitis media is treated using all except
1. Erythromycin
2. Cephalosporin
3. Streptomycin
4. Penicillin

Correct answer: 3. Streptomycin

Explanation: ACUTE SUPPURATIVE OTITIS MEDIA TREATMENT : 1. Antibacterial therapy: It is indicated in all cases with fever and severe earache. As the most common organisms are S. pneumoniae and H. influenzae, the drugs which are effective in acute otitis media are ampicillin (50 mg/kg/day in four divided doses) and amoxicillin (40 mg/ kg/day in three divided doses). Those allergic to these penicillins can be given cefaclor, co-trimoxazole or erythromycin. In cases where b-lactamase-producing H. influenzae or M. catarrhalis are isolated, antibiotics like amoxicillin clavulanate, augmentin, cefuroxime axetil or cefixime may be used. Antibacterial therapy must be continued for a minimum of 10 days, till tympanic membrane regains normal appearance and hearing returns to normal. Early discontinuance of therapy with relief of earache and fever, or therapy given in inadequate doses may lead to secretory otitis media and residual hearing loss. Ref:- Dhingra; pg num:-63